Severe disease involves
1. Lunate
2. Tibial tubercle
3. Calcaneum
4. Navicular

Correct answer: 3. Calcaneum

Explanation: Ans. is 'c' i.e., Calcaneum